In a 40-year-old woman receiving TPN for small-bowel fistula, what finding can be attributed to hypophosphatemia?
1. Increased cardiac output
2. Diarrhea
3. Increased energy production
4. Rhabdomyolysis

Correct answer: 4. Rhabdomyolysis

Explanation: Hypophosphatemia results in decreased synthesis of phosphorylated intermediate metabolites such as adenosine triphosphate (ATP), 2, 3-DPG, and cyclic adenosine monophosphate (cAMP). Deficiency can result in erythrocyte membrane instability, WBC dysfunction, platelet dysfunction, congestive heart failure, arrhythmias, weakening of respiration muscles, hemolysis, and rhabdomyolysis.